The ability of a screening test to detect "true positives" is known as -
1. Sensitivity
2. Specificity
3. Positive predictive value
4. Negative predictive value

Correct answer: 1. Sensitivity